When information memorized afterward is interfered by the information learned earlier, it is called :
1. Retroactive inhibition
2. Proactive inhibition
3. Simple inhibition
4. Inhibition

Correct answer: 2. Proactive inhibition

Explanation: Earlier learning interferes with retrieval of new information →  proactive interference.
Newly acquired information interferes with the retrieval of previously learnt information → retroactive inhibition.